All of the following muscles are supplied by Tibial component of Sciatic nerve Except
1. Adductor magnus
2. Semimembranosus
3. Semitendinosus
4. Short head of Biceps fermoris

Correct answer: 4. Short head of Biceps fermoris

Explanation: Only Short head of Biceps fermoris is supplied by common peroneal component of Sciatic nerve.